Lines of Blaschko's are related to:
1. Bones
2. Keratinocytes
3. Nerves
4. Blood vessels

Correct answer: 2. Keratinocytes

Explanation: Lines of Blaschko's are related to keratinocyte. Blaschko's Lines: The pattern is attributed to the lines of migration and proliferation of epidermal cells during embryogenesis The lines do not correspond to any known nervous, vascular or lymphatic structures, but represent the normal developmental growth pattern of the skin. Generally longitudinally oriented on the limbs and circumferential on the trunk, but not perfectly linear. Implies a mosaic disorder e.g. - Incontinentia pigmenti, -inflammatory linear verrucous epidermal nevus